Hallmark of breast malignancy on mammography :
1. Low density lesion
2. Smooth margin
3. Clusters of micro calcification
4. Popcorn calcification

Correct answer: 3. Clusters of micro calcification

Explanation: Microcalcification's is pathognomonic sign for breast carcinoma. It may be seen in 30% cases of invasive carcinoma and 95% of cases of DCIS (granular and casting).